Fatty acids can not be utilised by
1. Muscles
2. Heart
3. Liver
4. RBC

Correct answer: 4. RBC

Explanation: RBC can utilise only glucose even during fasting / starvation.